Sulfonamide useful in treating ulcerative colitis is -
1. Sulfadiazine
2. Sulfasalazine
3. Sulfamethoxazole
4. Sulfadimidine

Correct answer: 2. Sulfasalazine